Which of the following nerve loops around submandibular duct?
1. Mandibular nerve
2. Lingual nerve
3. Hypoglossal nerve
4. Recurrent laryngeal nerve

Correct answer: 2. Lingual nerve

Explanation: At the anterior border of the hyoglossus,the submandibular duct is crossed by the lingual nerve. REF.BDC VOL-3.Fifth edition.